Abbe westlander flap is used to reconstruction of ?
1. Tongue
2. Lip
3. Breast
4. Nose

Correct answer: 2. Lip

Explanation: Abbe westlander flap based on labial artery is used to reconstruct lip.